All of the following are boundaries of Trautman's triangle except:
1. Sigmoid sinus
2. Inferior petrosal sinus
3. Superior petrosal sinus
4. Bony labyrinth

Correct answer: 2. Inferior petrosal sinus

Explanation: Ans b): Inferior petrosal sinusBoundaries of Trautman's triangle-Boundaries of Citelle's angle -Bony labyrinthSigmoid sinusSigmoid sinusSuperior petrosal sinusMiddle fossa dura plateSolid angle- angle formed by three semicircular canalsContent of canal of Huguier- Chorda tympaniDorello's canalIts the groove of 5th nerve- b/w petrous tip and sphenoid bone.